Condylomata latae are seen in
1. Congential syphilis
2. Primary syphilis
3. Secondary syphilis
4. Tertiary syphilis

Correct answer: 3. Secondary syphilis

Explanation: C i.e. Secondary Syphilis